Nerve supply of the papillary muscle, the sphincter papillae is done through
1. Third cranial nerve
2. Fourth cranial nerve
3. Sixth cranial nerve
4. Seventh cranial nerve

Correct answer: 1. Third cranial nerve

Explanation: The ciliary ganglion is a peripheral parasympathetic ganglion topographically connected with the nasociliary nerve from ophthalmic division of trigeminal nerve but functionally connected to the oculomotor nerve.The motor or parasympathetic root of the ciliary ganglion is derived from nerve to inferior oblique and consists of preganglionic parasympathetic fibres from the Edinger-Westphal nucleus. These fibres relay in the ganglion. The postganglionic parasympathetic fibers arise from the cells of the ganglion and pass through short ciliry nerves to supply the ciliary muscle and sphincter pupillae.The branches of the ciliary ganglion are short ciliary nerves that contain fibres from all 3 roots, run above and below the optic nerve towards the eyeball. On reaching the eyeball, they pierce the sclera around the attachment of the optic nerve and pass forwards in the space between the sclera and the choroid to reach the target organs.The ciliary ganglion is blocked to produce dilatation of the pupil before cataract extraction.Reference: Textbook of anatomy, Head neck, and brain, Vishram Singh, 2nd edition, page no.298